All of the following is true about achalasia cardia except-
1. Lower esophageal sphincter does not relax normally
2. Males are affected more than the females
3. Absence of gastric air bibble is a sign seen on X-ray
4. Manometry is the most confirmatory investigation

Correct answer: 2. Males are affected more than the females

Explanation: Ans. is 'b' i.e., Males are affected more than the females * Achalasia cardia is a motor disorder of the esophageal smooth muscle in which the LES does not relax normally with swallowing, & the esophageal body undergoes nonperistaltic contractions. (Primary peristalsis is absent or reduced).* The pathogenesis of Achlasia is poorly understood.* It involves:# Neurogenic degeneration either idiopathic or due to infection. The degenerative changes are either intrinsic (degeneration of ganglion cells of Aurebach'smyentric plexus) or extrinsic (extraesophagealvagus nerve or the dorsal motor nucleus of vagus)# Pharmacologic studies suggest dysfunction of inhibitory neurons containing nitric oxideand vasoactive intestinal polypeptide in the distal esophagus (LES). The cholinergic innervation of the LES is intact or affected only in advanced disease.* Asa result of the abnormality, the LES fails to relax, primary peristalsis is absent in esophagus which dilates. As the disease progresses the esophagus becomes massively dilated and tortuous.Clinical findings# Both sexes are equally affected # May develop at any age but peak years are from 30 to 60.# Classical clinical symptom is progressive dysphagia for both solids and liquids. Dysphagia is worsened by emotional stress and hurried eating.# Regurgitation and Pulmonary aspiration occur because of retention of large volumes of saliva and ingested food in the esophagus.# Esophagitis with ulceration may occur with chronic retention of food.# Pain is infrequent in classical achlasia but a variant called vigrous achlasia is characterized by chest pain and esophageal spasms that generate non-propuloine high-pressure waves in the body of the esophagus.Diagnosis# Chest x-ray - shows absence of gastric air bubble, an air-fluid level in the mediastinum in the upright position representing retained food in oesophagus.# Barium swallow - shows dilated esophagus with tapering narrowing in the terminal end of esophagus described as 'birds' beak' appearance. Fluoroscopy shows loss of normal peristalsis in the lower two thirds of esophagus.# Endoscopy may be done to rule out any secondary cause of achlasiaeg. carcinoma, stricture at LES.Manometry# It's the most confrmatory investigation# it is able to distinguish between various forms of motor disorders of esophagus# Manometric characteristics of Achlasia* Incomplete lower esophageal sphincter relaxation (< 75% relaxation)* Elevated LES pressure* Loss of primary peristaltic waves in the esophageal body, but disorganized muscular activity may be present.* Increased intraesophageal baseline pressure relative to gastric baseline.* Cholecystokinin (CCK) which normally causes a fall in the sphincter pressure, paradoxically causes contraction of the LES (the CCK test). This paradoxical response occurs because, in achlasia the neurally transmitted inhibitory effect of CCK is absent owing to the loss of inhibitory neurons.